Reynolds Braude phenomenon seen in
1. C. Albicans
2. C. Kefyr
3. C. Vishwanathii
4. C. Guiller mondii

Correct answer: 1. C. Albicans

Explanation: Germ tube test also called Reynolds Braude Phenomenon, is a specific test for C. Albicans.